All the following supply blood to Palatine tonsil except
1. Lingual artery
2. Facial artery
3. Ascending Pharyngeal artery
4. Sphenopalatine artery

Correct answer: 4. Sphenopalatine artery

Explanation: Palatine Tonsil (The Tonsil)Blood supply:1.Main source: The Tonsillar branch of the facial artery.2.Additional sources: (a) Ascending palatine branch of facial artery; (b) Dorsal lingual branches of the lingual artery; (c) Ascending pharyngeal branch of the external carotid artery; and (d) The greater palatine branch of the maxillary arteryReference: Chaurasia Head and Neck; 6th edition